Leukokoria is seen in all of the following conditions except:
1. Congenital cataract
2. Persistent hyperplastic primary vitreous
3. Retinopathy of prematurity
4. Congenital glaucoma

Correct answer: 4. Congenital glaucoma

Explanation: Leukokoria is not seen in congenital glaucoma. Buphthalmos is seen in congenital glaucoma. Cornea >1cm in diameter in a term infant with photophobia and tearing suggests congenital glaucoma. Leukokoria or White pupillary reflex is seen in Congenital cataract Chorioretinitis Retinoblastoma Retinopathy of prematurity Persistent hyperplastic primary vitreous Ref: Nelson textbook of pediatrics 21st edition pgno: 3392